Which of the following is given as live oral vaccine
1. B.C.G
2. Measles
3. Typhoid
4. Rabies

Correct answer: 3. Typhoid

Explanation: . Ghai essential of pediatrics, eighth edition, p.no:189 Typhoid vaccine(s.typhi Ty21a) is given as live oral vaccine